Which antitubercular drug is implicated in the causation of transient memory loss?
1. Ethionamide
2. Isoniazid
3. Ethambutol
4. Pyrazinamide

Correct answer: 2. Isoniazid

Explanation: The most important side effects of isoniazid include rash (2%), fever (1.2%), jaundice (0.6%) and peripheral neuritis (0.2%).
Mental abnormalities with INH include euphoria, transient impairment of memory, separation of ideas and reality loss of self-control and florid psychosis.
Ethionamide causes mental depression, drowsiness and asthenia.